Lesion in occipital lobe will cause?
1. Binasal hemianopia
2. Bitemporal hemianopia
3. Homonymous superior quadrantonopia
4. Homonymous hemianopia with macular sparing

Correct answer: 4. Homonymous hemianopia with macular sparing

Explanation: Ans. (d) Homonymous hemianopia with macular sparingRef.: Harrisons 19th ed. /198-199Please look at the diagram carefully to understand the visual pathway and its corresponding pathology.* Unilateral optic nerve lesion: Unilateral blindness* Binasal hemianopia: Bitemporal optic chiasma lesion. Two different lesions compressing the chiasma from the lateral parts.* Bitemporal hemianopia: Binasal retinal damaged optic chiasmal lesion. Commonest lesion is pituitary adenoma.* Homonymous hemianopia: lesion at optic tract AND optic radiation* Homonymous superior quadrantonopia: All superior quadrantonopia goes to the temporal lobe (pie in the sky).* Homonymous inferior quadrantonopia: All inferior quadrantonopia goes to the parietal lobe (Pie on the floor).* Homonymous hemianopia w/ macular sparing: Lesion in occipital cortex les